The hepatopancreatic ampulla opens into which of the following part of duodenum ?
1. first part
2. second part
3. third part
4. fourth part

Correct answer: 2. second part

Explanation: The second part of duodenum - The major duodenal papilla is an elevation present posteromedially, 8 to 10 cm distal to the pylorus. The hepatopancreatic ampulla opens at the summit of the papilla. image ref -eahslab.com